Iron absorption is decreased by A/E-
1. Calcium
2. Tetracycline
3. Phytate
4. Ascorbic acid

Correct answer: 4. Ascorbic acid

Explanation: Ans. is 'd' i.e., Ascorbic acid